In myositis ossificans mature bone is seen -
1. At periphery
2. In center
3. Whole muscle mass
4. In the joint capsule

Correct answer: 1. At periphery

Explanation: Zonation from the central immature zone of undifferentiated highly active cells to the peripheral mature zone of well-oriented bone is characteristic.